Lower end of spinal cord in adults?
1. Lower border of LI vertebra
2. Lower border of L3 vertebra
3. Lower border of L2 vertebra
4. Upper border of L3 vertebra

Correct answer: 1. Lower border of LI vertebra

Explanation: Ref: Grays Anatomy 40th Ed Pg 225Explanation:Spinal cordIt occupies the superior two-thirds of the vertebral canal.It is continuous cranially with the medulla oblongataIt forms caudal Iv the conus medullarisFront the apex of conus medullars. a connective tissue filament, the filum terminale. descends to the dorsum of the first coccygeal vertebral segment.The cord extends from the upper border of the atlas to the junction between the first and second lumbar vertebraeIts average length in males is 45 cmIts weight approximately 30 g.During development, the vertebral column elongates more rapidly than the spinal cord, so that there is an increasing discrepancy between the anatomical level of spinal cord segments and their corresponding vertebrae.* At birth, the spinal cord terminates at the lower border of the second lumbar vertebra, and may sometimes reach the third lumbar vertebra.Figure: Schematic representation of lower spinal cord: Note the spinal cord ending at lower border of L1